Werick's hemianopic pupillary response is seen in lesions at:
1. Optic tract
2. Optic chiasma
3. Optic radiation
4. Lateral geniculate body

Correct answer: 1. Optic tract

Explanation: Werick's hemianopic pupillary response is seen in lesions at Optic tract. Ref: Textbook of Ophthalmology By Nema, 3rd Edition, Page 247